Respiratory distress syndrome is due to a defect in the biosynthesis of
1. Dipalmitoyl lecithine
2. Dipalmitoyl cephaline
3. Dipalmitoyl serine
4. Dipalmitoyl inositol

Correct answer: 1. Dipalmitoyl lecithine

Explanation: Causes. RDS is a type of neonatal respiratory disease that is caused most often by a lack of surfactant in the lungs. A fetus's lungs start making surfactant during the third trimester of pregnancy, or weeks 26 through labor and delivery. Surfactant coats the insides of the air sacs, or alveoli, in the lungs. Ref: guyton and hall textbook of medical physiology 12 edition page number:312,313,314